Not true about Red degeneration of myomas is-
1. It occurs commonly during pregnancy
2. Immediate surgical intervention is needed
3. Due to interference with blood supply
4. Treated with analgesics

Correct answer: 2. Immediate surgical intervention is needed

Explanation: Ans. is 'b' ie immediate surgical intervention needed Red degenerationis the most frequent* complication of myomas during pregnancy.The tumour assumes a peculiar purple red colour.It usually occurs due to thrombosis of large veins in the tumour.it has a peculiar fishy odour*Clinical featuresAcute onset of pain over the tumour*Malaise or even rise of temperature*Tenderness or rigidity over the tumourBlood count shows Leucocytosis*Rapid pulseConstipationTreatmentMainly conservative*Analgesics & sedativesAmpicillinThe symptoms usually clear off within 10 days.Surgery is not required even when laparotomy is done with mistaken diagnosis, abdomen is to be closed without doing anything.